Continuous cell culture of bacteria
1. U tube
2. Craige tube
3. Chemostat device
4. Agar dilution method

Correct answer: 3. Chemostat device

Explanation: Ans. is 'c' i.e., Chemostat device Bacterial cultures can be maintained in a state of exponentional growth over long periods of time using a system of continuous culture. Continuous culture, in a device called chemostat, can be used to maintain a bacterial population at a constant density, a situation that is, in many ways, more similar to bacterial growth in natural environments. In a chemostat microbial cells are grown at a steady state where cell biomass production, substrates and products concentrations remains constant, and growth occurs at a constant rate. These features make a chemostat unique and powerful tool for biological and physiological research.